Most common type of hip dislocation is :
1. Anterior
2. Posterior
3. Central
4. Inferior

Correct answer: 2. Posterior

Explanation: Ans. is 'b' i.e., Posterior [Ref: Essential of orthopedic surgery 3rd/e p. 1179)* There are three main types of dislocations of the hipi) Posterior dislocationii) Anterior dislocationiii) Central fracture dislocation* Of the three, the posterior dislocation is the most common .